Uncontrolled phagocytosis of oxidized LDL particles is a major stimulus for the development of foam cells and fatty streaks in the vascular subendothelium. This process may be inhibited by increased dietary intake of
1. vitamin E
2. vitamin B6
3. vitamin D
4. vitamin B12

Correct answer: 1. vitamin E

Explanation: Oxidation of lipid and protein portion of LDL is deleterious Oxidised LDL is taken up by scavenger receptors of the macrophages and leads to foam cell formation. This promotes atherosclerosis. Thus, it is important to prevent the oxidation of LDL. Vitamin E is the chain-breaking antioxidant that acts on the lipid phase of LDL and prevents lipid peroxidation. Other chain breaking antioxidants are Vit A, C; SOD; Uric acid Preventive antioxidants are glutathione peroxidase, catalase